A short statured boy with rhizomelic limbs and brachydactyly is a feature of
1. Achondroplasia
2. Laron dwarfism
3. Hypothyroidism
4. Morquio disease

Correct answer: 1. Achondroplasia

Explanation: Features of Achondroplasia Ref image - Researchgate.net